Death of a patient due to an unintentional act by doctor, staff or hospital is :
1. Therapeutic misadventure
2. Vicarious liability
3. Therapeutic privilege
4. Diminished liability

Correct answer: 1. Therapeutic misadventure

Explanation: A i.e. Theraputic misadventure